DOC for addisons disease?
1. Hydrocortisone
2. Betamethasone
3. Prednisolone
4. DOCA

Correct answer: 1. Hydrocortisone

Explanation: Hydrocortisone act rapidly and has short duration of action. It has significant mineralocorticoid activity in addition to glucocorticoid action. Hydrocortisone is the name for the hormone cortisol when supplied as a medication. Uses include conditions such as adrenocortical insufficiency, adrenogenital syndrome, high blood calcium, thyroiditis, rheumatoid arthritis, dermatitis, asthma, and COPD. It is the treatment of choice for adrenocortical insufficiency mineralo: gluco corticoid action for hydrocortisone or cortisol is 1:1- so ideal treatmnet for addions (REF.Essential of medical pharmacology K D TRIPATHI 6 Edition, Page No - 281,283)